Vertebral arteries of both sides unite to form
1. Anterior spinal artery
2. Posterior spinal artery
3. Medullary artery
4. Basilar artery

Correct answer: 4. Basilar artery

Explanation: Vertebral artery curves round the ventrolateral aspect of the medulla obolongata between the root of hypoglossal nerve unite with its fellow at lower border of pons to form median basilar artery Bd chaurasias Human anatomy Volume 3 Sixth edition